Oxytocin receptor is:-
1. Cytokine related receptor
2. G protein coupled receptor
3. Tyrosine kinase receptor
4. Nuclear or cytoplasmic

Correct answer: 2. G protein coupled receptor

Explanation: Oxytocin receptor is G protein coupled receptors which bound to Gq which activate phospholipase C. Phospholipase C breaks down PIP2 to IP3. IP3 will act as 2nd messenger It helps in mobilization of calcium in sarcoplasmic reticulum and will increase calcium levels in the cell and cause excitatory effects in cells.